Which of the following statement regarding the sensory nerve supply of pharyngeal mucous membrane is TRUE?
1. Nasopharynx is supplied by the maxillary nerve
2. Glossopharyngeal nerve innervates the oral pharynx
3. Laryngeal pharynx is supplied by the internal laryngeal branch of vagus nerve
4. All of the above

Correct answer: 4. All of the above

Explanation: Nerves providing sensory innervation of the nasopharynx are : Maxillary nerve innervates nasopharynx, glossopharyngeal nerve innervates the oral pharynx and laryngeal pharynx is supplied by the internal laryngeal branch of vagus nerve.